An elderly patient with hypertension with diabetes, proteinuria without renal failure, antihypertensive of choice is-
1. Furosemide
2. Methyldopa
3. Enalapril
4. Propranolol

Correct answer: 3. Enalapril

Explanation: Among the currently popular antihypertensive agents, angiotensin-converting enzyme (ACE) inhibitors, such as captopril and enalapril, have been blamed, albeit rarely, for hepatotoxicity (primarily cholestasis and cholestatic hepatitis, but also hepatocellular injury) .Malignant hypertension (whenIV therapy is indicated) - Labetalol, nicardipine, nitroprusside,enalaprilat are preferred.in case of elderly patients with hypertension,diabetes as well as proteinuria without renal failure,enalapril can be used. ref:Harrison's principles of internal medicine,ed 18,pg no 628